A patient develops hypoglycemia. He was on insulin and acarbose. For treatment of above what is to be given aEUR'
1. >Glucose
2. > Maltose
3. > Sucrose
4. >Starch

Correct answer: 1. >Glucose

Explanation: Glucose Hypoglycemic reactions are the most common complication of insulin therapy. It commonly result from: ? - Inadequate carbohydrate consumption - Unusual physical exertion - Too large dose of insulin Management of hypoglycemia All the manifestations of hypoglycemia are relieved by glucose administration. To increase absorption, simple sugar or glucose should be given preferably in liquid form. Since the patient is on acarbose, the absorption of complex polysaccharides would be delayed. For this reason too, simple sugars like glucose should be administered. Management of hypoglycemia depends upon the condition of the patient:- Mild Severe Patient is conscious Able to swallow - Glucose gel - Dextrose tablets - Any sugar containing beverage Patient is unconscious Unable to take food oraly 20-50 ml of 50% glucose solution by intravenous infusion over a period of 2-3 minutes If intravenous therapy is not available 1 mg of glucagon injected either subcutaneously or intramuscularly If glucagon unavailable, honey syrups - Oral feeding contraindicated